A 24 week pregnant female developed gestational diabetes. Which of the following is the MOST characteristic congenital anomaly of diabetic pregnancy
1. Multicystic kidneys
2. Oesophageal atresia
3. Caudal regression
4. Duodenal atresia

Correct answer: 3. Caudal regression

Explanation: Ans. is 'c' i.e. Caudal regression [Ref: Obstetrics Fernando Areas 2nd/e page 289; Williams Obstetrics 21st/e page 13691 Most common single organ system anomaly with diabetes Heart Most common congenital anomaly seen in diabetic mother anencephaly Most common heart anomaly associated with diabetes Transposition of great vessels The most characteristic or specific lesion associated with diabetes Caudal regression syndrome (sacral agenesis) Remember sacral agenesis or caudal regression syndrome is the lesion most specifically associated with diabetes. It is not the most common congenital anomaly seen in diabetic mother. The table given on page 1369, 21st/e Williams compares the incidence of congenital anomalies in diabetic mother with that of normal population.